Prolactin production is controlled by:
1. Metoclopramide
2. Chlorpromazine
3. Dopamine
4. None

Correct answer: 3. Dopamine

Explanation: Ans. (c) DopamineRef KDT 6th ed. / 235-236* Prolactin is under predominant inhibitory control of hypothalamus through PRIH (Prolactin Release Inhibitory Hormone), which is Dopamine that acts on pituitary lactotrope D2 receptor.* A progressive increase in prolactin occurs during pregnancy, peaking at term. After childbirth, this dopamine is inhibited and prolactin now stimulate milk production.